In which of the following case police inquest is not done -
1. Dowry death
2. Suicide
3. Death by accident
4. Death by animals

Correct answer: 1. Dowry death

Explanation: POLICE INQUEST: Is conducted in suicide death due to animal, machinery death due to medical negligence, or ill-treatment, died under circumstances raising a reasonable suspicion MAGISTRATE'S INQUEST: death in police custody death in police firing death in prison, reformatories, Borstal school dowry death death in a psychiatry hospital Exhumation rape mental hospital. REF: The Synopsis of Forensic Medicine and Toxicology 29th edition page no: 3.